Which of the following is an anti-psychotic drug?
1. Clobazam
2. Divalproex
3. Rasagiline
4. Flupenthixol

Correct answer: 4. Flupenthixol

Explanation: Clobazam and divalproex are antiepileptic drugs Rasagiline is a MAO-B inhibitor useful for Parkinsonism Flupenthixol is a typical antipsychotic drug.